Condition associated with prolonged muscle contraction followed by slow muscle relaxation includes
1. Myotonia
2. Dystonia
3. Mitochondrial Myopathies
4. Hypotonia

Correct answer: 1. Myotonia

Explanation: (A) Myotonia # Myotonia is a symptom of a small handful of certain neuromuscular disorders characterized by delayed relaxation (prolonged contraction) of the skeletal muscles after voluntary contraction or electrical stimulation.> Myotonia may present in the following diseases with different causes related to the ion channels in the skeletal muscle fiber membrane (Sarcolemma).> Myotonia is present in Myotonia congenita, Paramyotonia Congenita and myotonic dystrophy.